Which of the following is caused by bilateral parietal lesions leading to visuomotor difficulty?
1. Balint's syndrome
2. Hallervorden spatz syndrome
3. Alzheimer's disease
4. Corticobasal degeneration

Correct answer: 1. Balint's syndrome

Explanation: Balint's syndrome is an uncommon and incompletely understood triad of severe neuropsychological impairments: inability to perceive the visual field as a whole (simultanagnosia), difficulty in fixating the eyes (oculomotor apraxia), and inability to move the hand to a specific object by using vision (optic ataxia).Balint's syndrome occurs most often with an acute onset as a consequence of two or more strokes at more or less the same place in each hemisphere. Therefore, it occurs rarely. The most frequent cause of complete Balint's syndrome is said by some to be sudden and severe hypotension, resulting in bilateral border zone infarction in the occipitoparietal region